Northern blot is used to detect -
1. Protein
2. Immunoglobulin
3. RNA
4. DNA

Correct answer: 3. RNA

Explanation: Ans. is 'c' i.e., RNA o Visualization of a specific DNA or RNA fragment among the many thousand of contaminating molecules requires the convergence of number of techniques collectively termed the blot transfer.Southern blot - Detects DNANorthern blot - Detects RNAWestern blot -Detects proteins (proteins are separated by electrophoresis, renatured and analysed for an interaction by hybridization with a specific labelled DNA probe).